All are peripheral lymphoid organs except -
1. Lymph nodes
2. Spleen
3. Mucosa associated lymphoid tissue
4. Thymus

Correct answer: 4. Thymus

Explanation: Thymus & bone marrow are primary/central lymphoid organ, the spleen & lymph nodes are the secondary/peripheral lymphoid organ Reff: Ananthanarayanan & Paniker's textbook of microbiology 9th edition pg: 128